Phocomelia is an adverse effect due to:
1. Thalidomide
2. Warfarin
3. Enalapril
4. Phenytoin

Correct answer: 1. Thalidomide

Explanation: Thalidomide